All of the following are ways of surfactant administration except
1. InSurE technique
2. HISA technique
3. LISA technique
4. MIST technique

Correct answer: 2. HISA technique

Explanation: InSuRE technique ⇒ Intubution - Surfactant - Extubation
LISA ⇒
a) Less, Invasive Surfactant administration
b) Here, intubation is not done
c) Under Laryngoscopy, soft tracheal catheter is introduced and Surfactant administered.
MIST ⇒
a) Minimally invasive Surfactant therapy
b) Intubation is not done
c) Under laryngoscopy, hard tracheal catheter is introduced and surfactant administered.